Oophoritis, Orchitis, Chipmunk cheeks seen in:
1. Mumps.
2. Sialadenitis.
3. Mucocele.
4. Sialadenosis.

Correct answer: 1. Mumps.